In hippocampus EEG waves are
1. Alpha
2. Beta
3. Delta
4. Theta

Correct answer: 4. Theta

Explanation: Theta brainwaves occur most often in sleep but are also dominant in deep meditation. Theta is our gateway to learning, memory, and intuition. In theta, our senses are withdrawn from the external world and focused on signals originating from within Ref: guyton and hall textbook of medical physiology 12 edition page number818,819,820